Malrotation presents with which of the following features: 1. Mass abdomen 2. Bleeding PR 3. Bilious vomiting 4. Hematemesis
1. 1 & 2
2. 2 & 3
3. 1 & 3
4. 3 & 4

Correct answer: 2. 2 & 3

Explanation: "Bilious vomiting is the first sign of the volvulus, and all infants with bilious vomiting must be evaluated rapidly to ensure that they do not have intestinal malrotation with volvulus. If left untreated, vascular compromise of the midgut initially causes bloody stools, but eventually results in circulatory collapse" Ref: Schwartz 9/e, Page 1428.